Which of the following is used in mixed dentition classification of malocclusion
1. Angles classification
2. Simon's orbital plane
3. Flush terminal plane
4. All of the above

Correct answer: 3. Flush terminal plane